Palpable plaque with curved penis is:
1. Condylomata
2. Peyronie disease
3. Penile cancer
4. Hypospadias

Correct answer: 2. Peyronie disease

Explanation: Ans. (b) Peyronie diseaseRef: Bailey and Love 27th Edition, Page 1490Classical points: Peyronie's disease* Penile deformity+* Palpable penile plaques inside the penis+* Erectile dysfunction* Microhemorrhage beneath the Tunica albuginea and secondary fibrosis may be and etiology.* Plaques are calcified and penis is seen on plain X-ray.* Most common direction of curvature is DORSAL towards the Abdomen* NESBITT procedure - MC done surgery to make the penis straight.